One of the parents has a balanced translocation between chromosome 15 and 21. What advice will you provide to the couple to prevent a child being born with Down's syndronu
1. Prenatal diagnosis and advice abortion
2. Artificial insemination with donor's sperm
3. Adoption
4. No need to worry as there is no increased risk

Correct answer: 1. Prenatal diagnosis and advice abortion

Explanation: Ans. a. Prenatal diagnosis and advice abortion